All of the following statements are true about Ebola virus EXCEPT?
1. It is member of filoviridae
2. Incubation period is 2 -12 weeks
3. Transmitted by direct contact
4. In severe cases lead to renal and liver impairment

Correct answer: 2. Incubation period is 2 -12 weeks

Explanation: True Family Filoviridae includes 3 genera: Cuevavirus, Ebolavirus & Marburg virus False Incubation period of Ebola virus disease is 2-21 days True Transmission takes place through direct person-to-person contact or exposure to infected bodily fluids & tissues True Multi organ failure is seen in severe cases